Involution of uterus takes -- weeks :
1. 4
2. 6
3. 12
4. 20

Correct answer: 2. 6

Explanation: 6